The antibody seen in drug induced SLE is
1. Anti histone antibody
2. Anti nuclear antibody
3. Anti SM antibody
4. Anti centromere antibody

Correct answer: 1. Anti histone antibody

Explanation: (A) Anti histone antibody # Lupus erythematosus (LE): is an autoimmune disease that can affect the skin, joints, heart, lungs, kidneys, and brain. Drug-induced LE (DILE) is a variant of autoimmune disease that resolves within days to months after withdrawal of the culprit drug in a patient with no underlying immune system dysfunction.> Drugs such as procainamide, chlorpromazine, and quinidine cause the production of antinuclear antibodies against the histone dimer H2A-H2B.> Hydralazine forms antinuclear antibodies to H1 and the H3-H4 complex.> In persons with DILE, the antibodies also tend to attack histones (proteins typically found in cell nuclei); antihistone antibodies are indicated by a homogeneous pattern of antinuclear antibodies.> They are present in more than 75% of patients with DILE induced by hydralazine and procainamide.> One example of an antihistone antibody that is often implicated in DILE is immunoglobulin G (anti- DNA).> Antihistone antibodies are much more likely to indicate DILE; however, they can also appear in up to 50% of patients with SL.E.